Which of the following agents should not be used for oral anticoagulation in high risk patients with atrial fibrillation
1. Wafarin
2. Dabigatran
3. Rivoraxaban
4. Clopidogrel

Correct answer: 4. Clopidogrel

Explanation: Oral anticoagulation in high-risk patients with AF includes vitamin K antagonists or the newer anticoagulants such as thrombin inhibi- tors (dabigatran) or factor Xa inhibitors (rivaroxaban, apixaban), but not antiplatelet agents (aspirin and clopidogrel), which have substantially less effect. Ref Harrison 20th edition pg 1456